False about viruses is ?
1. Ribosomes absent
2. Mitochondria absent
3. Motility absent
4. Nucleic acid absent

Correct answer: 4. Nucleic acid absent

Explanation: Ans. is 'd' i.e., Nucleic acid absent Viruses contain nucleic acid, either RNA or DNA. Properties of viruses Viruses are obligate intracellular parasites. They lack enzymes necessary for protein and nucleic acid synthesis and are dependent for replication on the synthetic machinery of host cells so, they cannot grow in cell free culture media. They do not have cellular organization. They are unaffected by antibacterial antibiotics. They contain only one type of nucleic acid, either RNA or DNA, never both. They multiply by a complex process and not by binary fission. The extracellular infections virus particle is called the virion. o With few exceptions, viruses are very heat labile.